Moschcowitz repair is done for
1. Vault prolapse
2. Enterocoele
3. Chronic inversion of uterus
4. Adenomyosis

Correct answer: 2. Enterocoele

Explanation: In Moschcowitz repair, several purse string sutures starting from below are used to obliterate the cul-de-sac of the pouch of Douglas. Care should be taken not to include the ureter in the stitch. Ref: Shaw's Textbook of Gynaecology,18th edition, p342.